Which prevents apoptosis of Memory B Cells?
1. Platelet derived Growth Factor
2. Nerve Growth Factor
3. Fibroblast Growth Factor
4. IGF

Correct answer: 2. Nerve Growth Factor